Characteristic postmortem finding of carbolic acid poisoning is
1. Grunish stomach
2. Yellow charred stomach
3. Brown leathery stomoch
4. Black charred stomach

Correct answer: 3. Brown leathery stomoch

Explanation: Stomach mucosa :

Sulphuric acid : Charred / Black  / blottin paper stomach
Copper sulphate : Bluish green
Ferrous sulphate : Green
Arsenic : pink velvety mucosa / strawberry
Nitric acid : yellow
Carbolic acid : White leathery stomach.